A 4–year–old child is admitted with fever, non–purulent conjunctivitis, rashes, cervical lymphadenopthy, hepatomegaly and desquamation of fingers and toes. Echocardiography shows coronary artery aneurysm. What is the most likely diagnosis ?
1. Measles
2. German measles
3. Progeria
4. Kawasaki disease

Correct answer: 4. Kawasaki disease